Podocytes are seen in-
1. Bowman's capsule
2. Proximal convoluted tubule
3. Distal convoluted tubule
4. Collecting tubule of the kidney

Correct answer: 1. Bowman's capsule

Explanation: Podocytes, which are structurally complex cells that possess interdigitating processes embedded in an adherent to the lamina rara externa of the basement membrane. Adjacent foot processes are separated by 20- to 30-nm-wide filtration slits, which are bridged by a thin slit diaphragm composed in large part of nephrin. Podocytes are crucial to the maintenance of the glomerular barrier function. The podocyte slit diaphragm is an important diffusion barrier for plasma protein and podocytes are also largely responsible for GBM component Robbins basic book of pathology. Kumar abbas aster. 9th edition. Page 518